The study of how variation in the human genome affect the response to medications is known as ?
1. Pharmacogenomics
2. Pharmacokinetics
3. Pharmacotherapeutics
4. Pharmacovigilance

Correct answer: 1. Pharmacogenomics